False about C. diphtheriae
1. Toxin production is chromosome mediated
2. Toxic production is phage mediated
3. Toxic to heart and neuron
4. Toxin inhibitis protein synthesis

Correct answer: 1. Toxin production is chromosome mediated

Explanation: Ans. (a) Toxin production chromosome mediated Already explained Note: Toxicity of corynebacterium is under control of phage gene, but the invasiveness is under control of bacterial gene.